The enzyme 50a reductase mediated conversion of testosterone to dihydrotestosterone is NOT required for which of the following actions?
1. Formation of male external genitalia in the fetus
2. Prostatic hypertrophy in elderly males
3. Pubertal changes in the male adolescent
4. Spermatogenesis

Correct answer: 4. Spermatogenesis

Explanation: (Ref: KDT 6/e p290) Testosterone is required for F - Feedback inhibition of LH secretion I - Internal genitilia development S - Spermatogenesis H - Hematopoiesis